Mycoplasma pneumonia is characterised by all except?
1. Diagnosed by serum cold antibody
2. Treatment is erythromycin
3. Cannot be cultured from sputum
4. Raised ESR

Correct answer: 3. Cannot be cultured from sputum

Explanation: Ans. is 'c' i.e., Can not be cultured from sputum . Laboratory diagnosis of mycoplasmal primary atypical pneumonia may be established either by isolation of the mycoplasma or by serological methods. . Mycoplasma can be cultured in fluid or solid media. A widely used isolation medium is PPLO broth. . Specimens are : Throat swabs 3. Inflammatory exudates Sputum 4. Respiratory secretions Treatment of Mycoplasma pneumonia About other options . In a patient with a compatible clinical picture, a cold agglutinin titre of 1 : 32 supports the diagnosis of mycoplasma pneumonia. . Cold agglutinins are nonspecific but develop within the first 7 to 10 days. . The test can also be performed at the bedside. . ESR, may be raised in 50% of the patients.